Which of the following amalgam alloys is least susceptible to creep:
1. Lathe cut
2. Spherical
3. Microfine
4. Dispersion with high copper

Correct answer: 4. Dispersion with high copper